A patient of bronchial asthma is on theophylline. Which of the following drugs should not be indicated to treat the upper respiratory tract infection in the same patient?
1. Ciprofloxacin
2. Amoxicillin
3. Ampicillin
4. All of the above

Correct answer: 1. Ciprofloxacin

Explanation: Drugs like ciprofloxacin, erythromycin and cimetidine are powerful microsomal enzyme inhibitors, predisposing to toxicity of theophylline.